Maximum dose of lignocaine given with adrenaline for infiltration anesthesia is
1. 3 my /kg
2. 5mg/kg
3. 7mg/kg
4. 10 mg/kg

Correct answer: 3. 7mg/kg

Explanation: Refer Goodman Gilman 12/e p576 For normal healthy adults, the individual maximum recommended dose of lignocaine HCI with epinephrine should not exceed 7mg/kg of body weight and in general it is recommended that the maximum total dose not exceed 500mg When used without epinephrine the maximum individual dose should not exceed 4.5 mg/kg of body weight and in general it is recommended that the maximum total dose not exceed 300mg